All of the following agents are used in the treatment of alcohol dependence, except -
1. Flumazenil
2. Acamprosate
3. Naltrexone
4. Disulfiram

Correct answer: 1. Flumazenil

Explanation: Flumazenil is a benzodiazepine antagonist and has no role in the treatment of alcohol dependence.